Baricitinib was approved by FDA recently for
1. Osteo arthritis
2. R arthritis
3. Cl difficale
4. Gout

Correct answer: 2. R arthritis

Explanation: barcitinib is a janus kinase inhibitoe JAK . Ihibits the activity of JAK 1 and JAK 2 enzymes interfering with JAK STAT pathway.